Staphylococcus aureus causes vomiting in 2-6 hours. The mechanism of action is by
1. Stimulation of cyclic AMP
2. Vagal stimulation
3. Stimulation of Cyclic GMP
4. Acts through ganglioside GM receptor

Correct answer: 2. Vagal stimulation

Explanation: It has been suggested that SEs(staph enterotoxins) stimulate the vagus nerve in the abdominal viscera, which transmits the signal to the vomiting center in the brain. Enterotoxin is responsible for the manifestations of staph food poisoning - nausea, vomiting, and diarrhea 2-6 hr after consuming food contaminated with enterotoxin. The toxin directly acts on ANS to cause the illness rather than on the gastrointestinal mucosa. Ref: Textbook of Microbiology; Ananthanarayan and Paniker's; 10th Edition; Page No: 204.